Active immunity is not acquired by:
1. Infection
2. Vaccination
3. Immunoglobulin transfer
4. Sub - clinical infection

Correct answer: 3. Immunoglobulin transfer

Explanation: Ans. is 'c' i.e., Immunoglobulin transfer (Ref: Ananthanarayan, 9th/e, p. 82 - 83 and 8th/e, p. 86, 87)* Immunoglobulin transfer gives passive immunity.* Rest of the other options are examples of active immunity.